Fanconi's anaemia is a
1. Constitutional anaemia
2. Hemolytic anaemia
3. Iron deficiency anaemia
4. Auto-immune anaemia

Correct answer: 1. Constitutional anaemia

Explanation: Fanconi anemia is a rare disease passed down through families (inherited) that mainly affects the bone marrow. It results in decreased production of all types of blood cells. This is the most common inherited form of , a rare kidney disorder. Causes Fanconi anemia is due to an abnormal gene that damages cells, which keeps them from repairing damaged DNA. To inherit Fanconi anemia, a person must get one copy of the abnormal gene from each parent. The condition is most often diagnosed in children between 3 and 14 years old. Symptoms People with Fanconi anemia have lower-than-normal numbers of white blood cells, red blood cells, and platelets (cells that help the blood clot). Not enough white blood cells can lead to infections. A lack of red blood cells may result in fatigue (Changes in the color of the skin, such as darkened areas of the skin, called cafe au lait spots, and Reference: GHAI Essential pediatrics, 8th edition